Anaesthetic death rate more than what level calls for scrutiny of staff or equipment?
1. 1 in 500
2. 1 in 1000
3. 1 in 5000
4. None of the above

Correct answer: 3. 1 in 5000

Explanation: Anaesthetic death rate more than 1 in 5000 calls for scrutiny of staff, equipment and procedures Ref: Textbook of community medicine, S. Lal, 3rd edition pg: 687.